The combined oral contraceptive pills decrease the risk of the following except :
1. Endometrial cancer
2. Ovarian cancer
3. Ectopic pregnancy
4. Breast cancer

Correct answer: 4. Breast cancer

Explanation: Breast cancer